A 7-year-old child developed acute otitis media. He was treated with antibiotics for 10 days. His pain and fever subsided completely but still had conductive hearing loss. Your next line of treatment is:
1. Give another course of a different antibiotic
2. Do a myringotomy and culture the middle ear fluid
3. Do a myringotomy and insert a grommet
4. Wait and watch for 3 months for fluid to drain spontaneously

Correct answer: 4. Wait and watch for 3 months for fluid to drain spontaneously

Explanation: Since antibiotic treatment has been effective to relieve pain and fever, the child is left with a sterile fluid in the middle ear. If this fluid does not drain spontaneously in another 12 weeks treat the case as one of otitis media with effusion.